To achieve Net reproduction rate (NRR) of 1, couple protection rate should be -
1. <50%
2. 50%
3. 55%
4. 60%

Correct answer: 4. 60%

Explanation: - couple protection rate is an indicator of the prevalence of contraceptive practice in the community. - CPR is defined as the percent of eligible couples effectively protected against child birth by one or other approved methods of family planning. - demographers are of the view that the demographic goal of NRR=1 can be achieved only if the CPR exceeds 60%. Reference : Park's textbook of preventive and social medicine, 23rd edition, pg no:493